Increased frequency of HLA-B 27 is seen in all the following diseases except
1. Ankylosing spondylitis
2. Reiters syndrome
3. Acute anterior uveitis
4. Myasthenia gravis

Correct answer: 4. Myasthenia gravis

Explanation: REF:HARRISONS PRINCIPLE'S OF INTERNAL MEDICINE 18TH EDITION